In hydatidiform mole, blood cells does not develop because of defect in
1. Primary ectoderm
2. Mesoderm
3. Endoderm
4. Trophoblast

Correct answer: 2. Mesoderm

Explanation: As organs form, a process called organogenesis, mesoderm interacts with endoderm and ectoderm to give rise to the digestive tract, the heart and skeletal muscles, red blood cells, and the tubules of the kidneys, as well as a type of connective tissue called mesenchyme. Ref:Human embryology Inderber singh